RDA in infant of Vit A is -
1. 350 g
2. 450 g
3. 600 g
4. 1000 g

Correct answer: 1. 350 g

Explanation: - daily intake of vitamin A recommended by ICMR for infants is 350 mcg retinol. - daily intake of vitamin A recommended by ICMR for infants is 2800 mcg beta carotene. Reference : Park's textbook of preventive and social medicine, 23rd edition, pg no:616